Lead time is defined is-
1. Time between diagnosis and treatment
2. Time between point where the diagnosis is made by screening test to usual diagnosis.
3. Time between disease onset and outcome
4. Time between usual time of diagnosis and outcome

Correct answer: 2. Time between point where the diagnosis is made by screening test to usual diagnosis.

Explanation: Ans. is 'b' i.e., Time between point where the diagnosis is made by screening test to usual diagnosis * The lead time is the time period between diagnosis by early detection (i.e., earliest point of diagnosis by screening test) and diagnosis by standard diagnostic tests. Lead time is the advantage gained by screening.